In which of the following virus is shed in stool:
1. Herpangina
2. Influenza
3. Varicella
4. Smallpox

Correct answer: 1. Herpangina

Explanation: Ans. a. Herpangina